Mummification refers to -
1. Hardening of muscle after death
2. Colliquative putrifaction
3. Saponification of subcutaneous fat
4. Dessication of a dead body

Correct answer: 4. Dessication of a dead body

Explanation: Mummification is drying and shrinking of cadaver from evaporation of water and general appearances of the body are preserved. Dr. Narayana Reddys Synopsis of Forensic Medicine & Toxicology 27 th edition pg. 87.